Nicotine withdrawal symptoms are the following EXCEPT
1. Anxiety
2. Decreased appetite
3. Diaphoresis
4. Rapid respirations

Correct answer: 2. Decreased appetite

Explanation: (B) Decreased appetite # WITHDRAWAL SYMPTOMS OF NICOTINE:> Intense urge to smoke, anxiety, impaired concentration and memory, depression or hostility, headache, muscle cramps, sleep disturbances, increased appetite and weight gain, diaphoresis and rapid respirations.> A short period (6 to 12 weeks) of maintenance often followed by a gradual reduction in 6 to 12 weeks is adopted.